What is the pH of amniotic fluid?
1. 6.5-7
2. 7.1-7.3
3. 7.4-7.8
4. 7.8-8.1

Correct answer: 2. 7.1-7.3

Explanation: Ans. B. 7.1-7.3Properties of amniotic fluid:a. pH:7.1-7.3b. Specific gravity: 1.010c. Osmolarity: 250mOsmol/l--a sign of fetal maturity.